Blaschko's lines refers to lines of:
1. Melanocyte migration
2. Ectodermal cell migration
3. Mesodermal cell migration
4. Endodermal cell migration

Correct answer: 2. Ectodermal cell migration

Explanation: Blaschko's lines are characteristic of mosaic conditions of the epidermis and probably represent the routes of ectodermal cell migration from the neural crest. Ref: Rook's textbook of dermatology, 8th edition, Pg 18.4.